Displacement is the defensive mechanism for (NOT REALTED)
1. Phobia
2. Depression
3. Persecutory delusions
4. Delusions of grandiosity

Correct answer: 1. Phobia

Explanation: In Phobia patient has fear of something which then is replaced by generalized fear of so many things.